Best way to know the position and integrity of ICD (implantable Cardioverter defibrillator) is
1. Plain radiograph
2. CT
3. MRI
4. PET

Correct answer: 1. Plain radiograph

Explanation: Best way to know the position and integrity of ICD is to do a plain radiograph.